Steakhouse syndrome or intermittent food impaction is due to which of the following anomaly?
1. Schatzki ring
2. Felin esophagus
3. Achalasia cardia
4. Esophageal carcinoma

Correct answer: 1. Schatzki ring

Explanation: Esophageal rings : distal rings are usually associated with episodic solid food dysphagia and are called Schatzki rings. Patients typically present older than 40 years, consistent with an acquired rather than congenital origin. Schatzki ring causes intermittent food impaction, also known as steakhouse syndrome. Symptomatic rings are treated by dilatation. Reference: Harrisons Principles of Internal Medicine, 18th Edition